All are features of acute morphine poisoning, except:
1. Pin-point pupil
2. Hyperpyrexia
3. Fall in blood pressure
4. Slow labored breathing

Correct answer: 2. Hyperpyrexia

Explanation: Ans. Hyperpyrexia